During surgery for aortic arch aneurysm under deep hypothermic circulatory arrest which of the following anaesthetic agent administered prior to circulatory arrest that also provides cerebral protection?
1. Etomidate
2. Thiopental Sodium
3. Propofal
4. Ketamine

Correct answer: 2. Thiopental Sodium

Explanation: (B) Thiopental Sodium # Uses of Thiopentone Sodium:> Induction of anaesthesia;> Maintenance of anaesthesia for short procedures;> Basal narcosis by rectal administration;> Treatment of status epilepticus;> Reduction of intracranial pressure;> Fordiagnostic operative neurological procedures.